Investigation of choice for evaluation of upper abdominal trauma
1. USG
2. CT
3. SCINTIGRAPHY
4. MRI

Correct answer: 2. CT

Explanation: Initial investigation in abdominal trauma is FAST (USG) IOC in Abdominal Trauma - CECT